Which of the following is class specific antigenic determinants of an Ig
1. L-chain
2. H-chain
3. J-chain
4. Variable region

Correct answer: 2. H-chain

Explanation: Ans. (b) H-chain Ref A nan thunnrinian 8/e, p 96, 9/e, p 94 It is the class of heavy chain (H) which determines class of Ig, e.g. gamma (y), alpha (a), mu (u), delta (6), epsilon (e) are H chain of IgG, IgA, IgM, IgD, IgE, respectively.